A patient with chronic kidney disease on dialysis is posted for emergency laparotomy. Which of the following anaesthetic agent is contraindicated in this patient?
1. d-Tubocurarine
2. Scoline
3. Halothane
4. Gallamine

Correct answer: 4. Gallamine

Explanation: Gallamine is one of a series of synthetic substitutes for curare. Gallamine has the most potent vagolytic properties of any relaxant, and it is entirely dependent on renal function for elimination. In renal insufficiency the neuromuscular blockade that it causes is considerably prolonged and gallamine is contraindicated. Ref: Butterworth IV J.F., Butterworth IV J.F., Mackey D.C., Wasnick J.D., Mackey D.C., Wasnick J.D. (2013). Chapter 11. Neuromuscular Blocking Agents. In J.F. Butterworth IV, J.F. Butterworth IV, D.C. Mackey, J.D. Wasnick, D.C. Mackey, J.D. Wasnick (Eds), Morgan & Mikhail's Clinical Anesthesiology, 5e.